Which is best used for sex differentiation?
1. Pelvis
2. Skull
3. Femur
4. Humerus

Correct answer: 1. Pelvis

Explanation: Ans: a (Pelvis) Ref: KS Narayan, Reddy 21st ed, p. 55Pelvis is the bone best used for sex determination. There are many differences between male and female pelvis. Listed below are some of the important points. FEMALEMALEBuiltBones thinner, markings less prominentThicker, markings more prominentPelvis Inlet: Large circularCavity: Short cylindricalWalls: VerticalOutlet: Wide sub pubicangle (80-85)Short pubic crestsLong conicalLess verticalNarrow(50-60)IliumVertical bladesCurved bladesIschial tuberosityEvertedLess evertedPre and post auricular sulcusProminentLess prominentGreater sciatic notchWider, shallowDeep narrowObturator foramenSmall triangularOval and largerIschiopubic index-100-83